Blood bags are discarded in
1. yellow
2. black
3. red
4. white

Correct answer: 1. yellow

Explanation: ref : park 21st ed